The sigma (cr) subunit of prokaryotic RNA polymerase:
1. Binds the antibiotic rifampicin
2. Is inhibited by a-amanitin
3. Specifically recognizes the promoter site
4. Is part of the core enzyme

Correct answer: 3. Specifically recognizes the promoter site

Explanation: C i.e. Specifically recognizes the promoter site